Systemic absorption of local anaesthetic is better with
1. Subcutaneous route
2. Epidural route
3. Tracheal route
4. Intercostal route

Correct answer: 3. Tracheal route

Explanation: Intravenous > tracheal > intercostal is order of systemic absorption of local anaesthetic drug.